Serial interval is the gap between-
1. Primary and secondary case
2. Index and primary case
3. Introduction of infection and development of maximum infectivity
4. Transmission infection from patient to another susceptible host

Correct answer: 1. Primary and secondary case

Explanation: .serial interval is the time gap between the development of primary case and the further introduction of the disese agent into the community to cause secondary infections.from this we get a distribution of of secondary cases from which we can guess the incubation period of disease. ref:park's textbook,ed22,pg 95